Which of the following anticancer drugs acts by hypomethylation?
1. Gemcitabine
2. 5-FU
3. Decitabine
4. Homoharringotonine

Correct answer: 3. Decitabine

Explanation: Decitabine is used to treat myelodysplastic syndromes (diseases of the blood and bone marrow; MDS) and certain types of anemia. This medicine is an antineoplastic (cancer medicine) . Mechanism of Action: Inhibits DNA methyltransferase, causing hypomethylation of DNA & cellular differentiation or apoptosis Pharmacokinetics Protein Bound: <1% Vd: 63-89 L/m2 Half-life: 30-35 min REFERENCE : www.mayoclinic.org , www.medscape.com